A chest physician observed that the distribution of forced expiratory volume (FEV) in 300 smokers had a median value of 2.5 litres with the first and third quartiles being 1.5 and 4.5 litres respectively. Based on this data now many persons in the sample are expected to have a FEV between 1.5 and 4.5 litres?
1. 75
2. 150
3. 225
4. 300

Correct answer: 2. 150

Explanation: Ans. is 'b' i.e., 150 Quartile The quartiles are the four ranges defined by the three value discussed. o A quartile is any of the three values which divide the sorted data set into four equal parts, so that each part represents one fourth of the sample. From above mentioned lines it is very difficult to understand that what the quartile is. I am trying to explain in very simple language : ? o A quartile divides the data into four equal parts. o That means the data will have four equal parts i.e., 25 percent each. o So, the number of intercepts required will be 3, i.e., Q1, Q2, Q3. Q 1 is first (lowest) quale Q2 is second quartile Q3 is third (highest quartile) From above figure it is clear that : - i) Zero - Q I will cover 25% value ii) Zero - Q2 will cover 50 % value iii) Zero - Q3 will cover 75% value . iv) Zero - 100 will cover 100% value Zero - Ql, Ql- Q2, Q2-Q3 and Q3-100 all will cover 25% values among each of them. Zero-Q2, QI-Q3, Q2-100 will cover 50% values. Coming to question The first quartile Q1 = 1.5 litres. The third quartile Q3 = 4.5 litres The value between Q1 - Q3 = 50% (see above) So, 50% of total smokers (300) will have FEV between 1.5 to 4.5 litres. 50% of 300 = 150